False about IgA nephropathy
1. Mesangial Proliferation
2. Also called Berger's nephropathy
3. Recurrent Hematuria
4. Complement levels are decreased

Correct answer: 4. Complement levels are decreased

Explanation: Complement levels are normal in IgA nephropathy.